In minimal change disease, which of the following is seen on immunofluorescence microscopy?
1. Immunodeposits in glomerulus
2. Immunodeposits in mesangium
3. Immunodeposits in blood vessels
4. No immunodeposits

Correct answer: 4. No immunodeposits

Explanation: In minimal change disease: *Light microscopy: Glomeruli appear normal: No Ig/complement deposits *Immunofluorescence microscopy: No electron-dense deposits *Electron microscopy: Diffuse effacement of foot processes of podocytes ("podocytopathy").